Which of the following is not an association for Keratoconus:
1. Marfans Syndroma
2. Leber congenital amaurosis
3. Vernal kerato conjunctivitis
4. Senile Cataract

Correct answer: 4. Senile Cataract

Explanation: Senile cataract is not an association with keratoconus Important Associations of Keratoconus Marfans Leber congenital amaurosis Vernal kerato conjunctivitis Down's syndrome Atopy Floppy eyelid syndrome Ehler Danlos Achondroplasia Alagille syndrome Apert syndrome